A 69 year old male patient having coronary artery disease was found to have gall bladder stones while undergoing a routine ultrasound of the abdomen.There was no history of biliary colic or jaundice at any time.What is the best treatment advice for such a patient for his gallbladder stones:
1. Open cholecystectomy
2. Laparoscopic cholecystectomy
3. No surgery for gallbladder stones
4. ERCP and removal of gallbladder stones

Correct answer: 3. No surgery for gallbladder stones

Explanation: Answer is C (No surgery for gallbladder stones)Prophylactic cholecystectomy is not warranted in an asymptomatic patient.